A 27 year old man in noted to have blood pressure of 170/100 mmHg. He has prominent aortic ejection click and murmurs heard over the ribs on the both sides anteriorly and over the back posterioly. In addition. the pulses in the lower extremities are feeble and he complains of mild claudication with exertion. The most likely diagnosis is-
1. Artial septal defect
2. Aortic stenosis
3. Coarctation of the aorta
4. Cardiomyopathy

Correct answer: 3. Coarctation of the aorta